A 65-year-old woman is found to have a 1-cm mass in the upper outer quadrant of the left breast. The most likely cause is
1. Fibrocystic disease.
2. Acute mastitis.
3. Fibroadenoma.
4. Carcinoma.

Correct answer: 4. Carcinoma.

Explanation: The location of the mass in the upper outer quadrant and the patient's age of 65 years suggest that the breast lesion is a carcinoma. A breast mass in a postmenopausal patient is most often a carcinoma.